All are true about poliovirus, except -
1. Type I is responsible for most epidemics
2. Very difficult to eliminate Type I
3. Type I responsible for vaccine paralytic polio myelitis
4. Type I most commonly associated with paralysis

Correct answer: 3. Type I responsible for vaccine paralytic polio myelitis

Explanation: Poliovirus type 1 ia responsible for most epidemics of paralytic poliomyelitis. ANANTHANARAYAN AND PANIKER'S TEXTBOOK OF MICROBIOLOGY 9TH EDITION PAGE NO:490